For which of the following are live vaccines used
1. Measles
2. Cholera
3. Small pox
4. All

Correct answer: 4. All

Explanation: Ans. is 'a' i.e., Measles; 'b' i.e., Cholera; 'c' i.e., Small pox